A couple consulted you for counselling regarding conception. The couple had child born with anencephaly. What is recurrence risk for an open neural - tube in next pregnancy
1. 10%
2. 3 % to 5 %
3. 25%
4. None

Correct answer: 2. 3 % to 5 %

Explanation: The recurrence risk is 3 → 5 % approximately if a couple has had previously a child with either anencephaly or spina bifida.